Accessory muscle of mastication:
1. Risorius
2. Orbicularis oris
3. Buccinator
4. Platysma

Correct answer: 3. Buccinator

Explanation: Ans. C BuccinatorRef: Gray's Anatomy 41st ed. P 495* It is a thin quadrilateral muscle of cheek, occupies the interval between maxilla and mandible.* It compresses the cheek against the teeth and gums during mastication and assists the tongue in directing the food between teeth.Classically the muscles of mastication are:* Masseter* Medial Pterygoid* Lateral Pterygoid* TemporalisAccessory muscles of mastication* Anterior belly of digastric* Mylohyoid muscle* Geniohyiod muscle* Buccinator